In carboxylation of clotting factors by Vitamin K, which amino acid is carboxylated:
1. Glutamate
2. Aspartate
3. Histamine
4. Histidine

Correct answer: 1. Glutamate

Explanation: Glutamate